Transtubercular plane lies at which vertebral level ?
1. Li
2. L3
3. L5
4. S3

Correct answer: 3. L5

Explanation: Ans. is 'c' i.e., L5 Body plane Vertebral levelsTranspyloric Lower border of LiSubcostal Upper border of L3Transumblical L3-L4 disc spaceTranstubercular Upper border of L5lnterspinous Body of Si